Which of the following drugs do not produce active metabolites ?
1. Enalapril
2. Lisinopril
3. Prednisone
4. Sulfasalazine

Correct answer: 2. Lisinopril